In maturity onset diabetes mellitus, ophthalmoscopy should be done at
1. Immediately
2. After 5 years
3. After 10 years
4. After 15 years

Correct answer: 1. Immediately

Explanation: Ans. is 'a' i.e immediately Ophthalmological examination is done inType II diabetese mellitus - at the time of diagnosis and reexamined at least annually*Type I DM - Within 3 yrs after diagnosis and reexamined on at least on annual basis*Diabetic women who becomes pregnant - should be examined in the 1st trimester and at least every 3 months thereafter until parturition. *Explanation :Diabetic retinopathy depends on the length of time the patient has had diabetes, even though his sugar level may be well controlled.Both in Type I and Type II DM, retinopathy occurs at least 3 to 5 years after the onset of diseaseBut type I DM can be diagnosed at the time of onset because of specific symptoms, such as polyuria, nocturnal enuresis, polydipsia, polyphagia.Type II DM is usually diagnosed many years after the onset of disease. Type II remains occult for many yrs and usually presents as a neurological or cardiological complication or may be diagnosed accidently during routine laboratory studies.